The following are example of apoptosis except?
1. Graft versus host disease
2. Menstrual cycle
3. Pathological atrophy following duct obstruction
4. None

Correct answer: 4. None

Explanation: Ans. is 'None'